Earliest ectopic to undergo rupture is:
1. Interstitial
2. Isthmic
3. Ainpullary
4. Ovarian

Correct answer: 2. Isthmic

Explanation: Ans: b (Isthmic) Ref: D 6th ed, p. 181Ibbal ruptureMost common in isthmic regionIsthmic rupture - 6-8 wksAmpullary rupture -8-12 wksInterstitial rupture - 16 wksEctopic pregnancyCommonest site - AmpullaCommonest cause - PID (Salpingitis) due to STDCommonest mode of termination of tubal pregnancy -Tubal abortionArias-Stella reaction - typical adenomatous change of endometrial glands seen in ectopic pregnancy.